Cellmediated immunity is maximum suppressed in
1. BT
2. LL
3. TT
4. Indeterminate

Correct answer: 2. LL

Explanation: B i.e. LL